Extensive spasm of the muscles of deglutition and respiration is referred to as:
1. Bulbar tetanus.
2. Cephalic tetanus.
3. Chronic tetanus.
4. Acute tetanus.

Correct answer: 1. Bulbar tetanus.

Explanation: This condition can also result in the death of the patient due to spasm of the muscles of respiration.